What strategy in transcription factor research allows for the simultaneous identification of all of the genomic sites bound by a given transcription factor under a given set of physiological conditions?
1. Fluorescence Energy Transfer (FRET)
2. DNAse I sensitivity
3. Chromatin immuno precipitation-sequencing (ChIP-seq)
4. FISH

Correct answer: 3. Chromatin immuno precipitation-sequencing (ChIP-seq)

Explanation: Fluorescence Resonance Energy Transfer (FRET) DNase I hypersensitive sites (DHSs) Flourscent In Situ Hybridisation (FISH) Chromosome Immunoprecipitation (Chip) Detect the distance between two macromolecules Used to detect actively transcribed genes Used to detect Aneuploidy To find the region of DNA to which DNA binding proteins bind Protein-protein interaction technique Based on the principle that Chromatin containing active genes are sensitive to cleavage by DNase I enzyme Can detect few genes at a time (Not High-throughput) Use Fluorescent DNA probes that binds to a specific region of chromatin Can detect few genes at a time (Not High-throughput) use number of specific probes (DNA, RNA) attached to a solid support such as glass slide. can simultaneously detect a number of sites (High-throughput)